All of the following vaccinations are administered via subcutaneous route except:
1. Japanese encephalitis
2. Hepatitis B
3. Measles
4. MR

Correct answer: 2. Hepatitis B

Explanation: Ans. B. Hepatitis B vaccineHepatitis B vaccine is given via intramuscular route at birth. While at 6, 10, 14 weeks it is a component of pentavalent vaccine and that is also administered via intramuscular route.